Shape of post traumatic Epidural hematoma is
1. Biconvex hyperdense
2. Biconvex hypodense
3. Biconcave hyperdense
4. Biconcave hypodense

Correct answer: 1. Biconvex hyperdense

Explanation: (A) Biconvex hyperdense > Epidural hematoma. Head CT after traumatic brain injury reveales a classic biconvex hyperdensity diagnostic of an epidural hematoma (arrow). There is mass effect and midline shift to the left.> Epidural Hematoma: The CT classically will show a hyperdense lesion (hematoma) that is biconvex or lens-shaped secondary to its position between the dura and the skull.